Mark the true and false statement about brain tumors: 1. Most common primary brain tumor is astrocytoma 2. Radiation exposure & genetic abnormalities are the risk factors 3. MEN-2 and NF-1 increases the risk 4. Three cardinal symptoms are seizures, raised ICT & focal neurological deficit 5. Dexamethasone reduces peritumoral edema 6. Primary goals of surgery includes histologic diagnosis & reduction of mass effect 7. Anti-epileptics for tumors close to sensorimotor strip 8. Craniospinal irradiation for tumors associated with CSF spread
1. 1-T, 2-T, 3-T, 4-T, 5-T, 6-T, 7-F, 8-T
2. 1-T, 2-T, 3-F, 4-T, 5-T, 6-T, 7-T, 8-T
3. 1-F, 2-T, 3-F, 4-T, 5-T, 6-T, 7-T, 8-T
4. 1-T, 2-F, 3-T, 4-T, 5-F, 6-T, 7-T, 8-T

Correct answer: 3. 1-F, 2-T, 3-F, 4-T, 5-T, 6-T, 7-T, 8-T

Explanation: - MC primary brain tumor - Meningioma (35%)> glial tumorQ(30%) - MC brain tumor - Metastasis - MC malignant BT of childhood - Most radiosensitive BT - Medulloblastoma - BT associated with calcification (COM) - Craniopharyngioma(most) > ODGQ(90%) > Meningioma(20-25%) BRAIN TUMOR - Most brain tumors occur sporadically - Radiation exposure&genetic abnormalities are the risk factors Genetic abnormalities with brain tumors (RL not in MTV GT) - Retinoblastoma - Li-Fraumeni - NF-1 & 2 - MEN 1 - Turcot's syndrome - VHL syndrome - Gorlin syndrome - Tuberous sclerosis Clinical Features - Three cardinal symptoms: Seizures, Raised ICT & focal neurological deficit(FND) - Raised ICT leads to headache (worse in morning & straining, associated with nausea & vomiting) - FND: Progressive over time, characteristic of location - Pituitary adenoma may also present with endocrine abnormalities Diagnosis - IOC for diagnosis: MRI Treatment - Dexamethasone: Reduces peitumoral edema - Anti-epileptics: For tumors close to sensorimotor strip - Mannitol: Adminstered before dural opening & operative resection - Surgery: Primary goals of surgery includes histologic diagnosis & reduction of mass effect preservation of neurological function - Radiotherapy: In case of positive margins & tumor infiltrating surrounding brain - Craniospinal irradiation: For tumors associated with CSF Spread